Investigation of choice in hirschsprung disease is -
1. Biopsy
2. Manometry
3. Colonoscopy
4. Barium enema

Correct answer: 1. Biopsy

Explanation: Ans. is 'a' i.e., Biopsy * The investigation of choice for diagnosis requires an adequate rectal biopsy and an experienced pathologist.* A contrast enema may show the narrow aganglionic segment, a cone and the dilated proximal bowel.